In a Subclavian artery block at the outer border of 1st rib, all of the following arteries help in maintaining the circulation to upper limb except
1. Subscapular artery
2. Superior thoracic
3. Thyrocervical trunk
4. Suprascapular artery

Correct answer: 2. Superior thoracic

Explanation: In distal subclavian & proximal axillary artery block arterial anastomosis exists between 1st part of SCA&3RD part OF axillary artery Ref: Gray's 40e/p447-451